IOC to detect abnormally located placenta;
1. TVS
2. TAS
3. Doppler
4. MRI

Correct answer: 1. TVS

Explanation: Today transvaginal ultrasound is being used increasingly in diagnosing placenta.It is safe and gives much more accuracy than a transabdominal scan in placental localisation especially in posterior placentation and obese patients (refer pgno:130 sheila textbook of obstetrics 2 nd edition)